Concentration of urea in a patient is 52 mg/dL. What is the serum Blood Urea Nitrogen?
1. 24.3
2. 34.5
3. 41.9
4. 69-7

Correct answer: 1. 24.3

Explanation: Answer- A. 24.3Serum Blood Urea Nitrogen (BUN): it is the mass of nitrogen within the urea/ unit volume.Urea= BUN * 2.14= 24.3 mg/dL